Wredin's test is significant in live born fetus related to
1. Lungs
2. Stomach
3. Skull
4. Middle ear

Correct answer: 4. Middle ear

Explanation: Wredin's test After birth, the gelatinous substance in the middle ear is replaced by air through Eustachian tube. This is now considered as not a reliable test. Ref: FORENSIC MEDICINE AND TOXICOLOGY Dr PC IGNATIUS THIRD EDITION PAGE 351